Not a Epiphyseal tumors
1. Chondroblastoma
2. Osteoclastoma
3. Clear cell Chandrosarcoma
4. Simple bone Cyst

Correct answer: 4. Simple bone Cyst

Explanation: Simple bone cyst (Unicameral bone cyst) is a Metaphyseal tumor.